Carabelli Cusp on maxillary molar is characteristic for ?
1. Mongoloids
2. Caucasoid
3. Negroid
4. None of the above

Correct answer: 2. Caucasoid

Explanation: Carabelli Cusp is small nodule on lingual surface of maxillary molar, seen characteristically in Caucasoid